Indication of use of antibiotics in diarrhea -
1. Dysentery
2. High grade fever
3. Immunocompromised
4. All of the above

Correct answer: 4. All of the above